Magnan's syndrome is associated with:
1. Cocaine
2. OPC
3. Snake bite
4. Alcohol

Correct answer: 1. Cocaine

Explanation: Ans. Cocaine